Which of the following should be monitored in patient receiving linezolid therapy?
1. Renal function
2. Liver function
3. Auditory function
4. Platelet count

Correct answer: 4. Platelet count

Explanation: Hematologic disturbances in the form of anemia and thrombocytopenia are of main concern while the patient is on linezolid therapy. Ref: Essentials of Medical Pharmacology By KD Tripathi, 5th Edition, Page 691 - 2; Side Effects of Drugs Annual : A Worldwide Yearly Survey of New Data and Trends in Adverse Drug Reactions By Jeffrey K. Aronson, Page 475.